Bone tumour arising from metaphysis ?
1. Osteogenic sarcoma
2. Ewing sarcoma
3. Osteoclastoma
4. Osteiod osteoma

Correct answer: 1. Osteogenic sarcoma

Explanation: Ans. is 'a' i.e., Osteogenic sarcomaMetaphvseal lesions Diaphyseal lesions o Osteogenic sarcoma o Ewing sarcomao Unicameral (simple) bone cyst o Lymphomaso Aneurysmal bone cyst o Fibrous dysplasiao Fibrous cortical defect o AdamantinomaHistiocytosisOsteoid osteoma